Which among the following structure give rise to Gartner's cyst?
1. Remnant of paramesonephric duct
2. Remnant of mesonephric duct
3. Cervix
4. Vagina

Correct answer: 2. Remnant of mesonephric duct

Explanation: Gartner's duct cyst arises from incomplete regression of the vaginal portion of the Wolffian (mesonephric) ducts. Gartner's ducts are determined by the presence of persistent remnants of mesonephric ducts. Since the mesonephric ducts have secretory properties, cysts can develop. Usually, cysts located along the anterior-lateral vaginal wall, matching the Wolffian duct path, are <=2 cm in size and asymptomatic.